All the following are true of Paget disease Except
1. It affects elderly individuals
2. It may be monostotic or polyostotic
3. There is an imbalance between osteoblastic and osteoclastic activity
4. Deformed long bones result from cortical bone thinning

Correct answer: 4. Deformed long bones result from cortical bone thinning

Explanation: Paget disease is a disorder of unknown origin, which occurs in older people and involves either a single bone or several bones. It is not associated with systemic metabolic disturbances, and some parts of the skeleton are always spared. The bones show marked thickening, owing to excessive osteoblastic and reduced osteoclastic activity. Although only a few persons suffering from Paget disease develop sarcoma of bone, in adults the disease remains an important predisposing condition for this tumor in long bones. The skull and vertebrae are virtually never the sites of secondary osteogenic sarcomas. Ref: Maheshwari 6e pg 317.